Patient presents with recurrent duodenal ulcer of 2.5 cm size, procedure of choice:
1. Truncal vagotomy and antrectomy
2. Truncal vagotomy and gastrojejunostomy
3. Highly selective vagotomy
4. Laparoscopic vagotomy and gastrojejunostomy

Correct answer: 1. Truncal vagotomy and antrectomy

Explanation: Ans. (a) Truncal vagotomy and antrectomyRef: Sabiston 20th edition, page 1206* For recurrent duodenal ulcer we have to do TV and also remove the acid producing part- Antrum to get the best possible result.